All of the following are parenteral Direct Thrombin Inhibitor except
1. Lepirudin
2. Bivalirudin
3. Argatroban
4. Dabigatran

Correct answer: 4. Dabigatran

Explanation: Dabigatran & Ximelagatron are Oral Direct Thrombin Inhibitors.